Satellite lesion is seen in which corneal ulcer?
1. Trachoma
2. Fungal
3. Angular
4. Herpes

Correct answer: 2. Fungal

Explanation: ANSWER: (B) FungalREF: Khurana 4th ed p. 100Fungal corneal ulceration* Dry* Delicate feathery extensions* Satellite lesions* Sterile immune ring* Big hypopyon* Perforation* Central vascularization